Ewings sarcoma arises from -
1. G cells
2. Totipotent cells
3. Neuroectodermal cells
4. Neurons

Correct answer: 3. Neuroectodermal cells

Explanation: Histologically, Ewing's sarcoma has a certain resemblance to primitive neuroectodermal cells, and the tumor arises from such cells.
It is a rare malignancy primarily affecting children and adolescents. It arises mainly in bone and less commonly in soft tissues.
In these, there is a characteristic reciprocal chromosomal translocation, which leads to an in-frame fusion between the EWS gene and one of the ETS family gene members.